A patient with fibrous dysplasia can be treated by
1. Surgical excision
2. Removal of adjacent teeth
3. Irradiation of the Lesion
4. Conservative surgery

Correct answer: 4. Conservative surgery